A 27 year old man presents with a left testcular tumor with a 10 cm retroperitoneal lymph node mass. The treatment of choice is -
1. Radiotherapy
2. Immunotherapy with interferon and interleukins
3. Left high inguinal orchiectomy plus chemotherapy
4. Chemotherapy alone

Correct answer: 3. Left high inguinal orchiectomy plus chemotherapy

Explanation: Ans. is 'c' i.e., Left high inguinal orchiectomy plus chemotherapy This patient has retroperitoneal lymph node mass, hence its stage II. Its more than 5 cm thus its stage Hc. Treatment of stages for IIC and beyond is the same for both seminomas & nonseminomas i.e. ---> chemotherapy after inguinal orchiectomy